In adults, the spinal cord normally ends at?
1. Lower border of L1
2. Lower border of L3
3. Lower border of S1
4. Lower border of L5

Correct answer: 1. Lower border of L1

Explanation: In the fetus, the spinal cord and the vertebral column are of the same length. Since the vertebral column grows faster, the spinal cord retracts. It ascends upwards and reaches the level of lower border of L3 at birth and lower border of L1 in adults.